A female patient who is a known case of systemic sclerosis is posted for hernioplasty. You as anaesthesiologist is called to do pre-operative assessment. On oral examination you anticipate difficult intubation as only hard and soft palate are visible. You proceed with laryngoscopy and find that you are able to see only posterior glottis. What’s your laryngoscopic grading of glottis
1. 1
2. 2
3. 3
4. 4

Correct answer: 2. 2

Explanation: As per cotmack and lehane laryngoscopic grading of glottis, it is grade 2 if only posterior glottis is visible.